Phlycten is due to
1. Exogenous allergy
2. Endogenous allergy
3. viral keratitis
4. Fungal keratitis

Correct answer: 2. Endogenous allergy

Explanation: Endogenous allergens in Phlyctenular conjunctivitis are staphylococcus aureus and tuberculosis Refer Khurana 6th edition page number 83